Direct globulin test is positive in?
1. PNH
2. Sickle cell anemia
3. Thalassemia
4. Paroxysmal cold hemoglobinuria

Correct answer: 4. Paroxysmal cold hemoglobinuria

Explanation: Ans. (d) Paroxysmal cold hemoglobinuria(Ref: Robbins 9th/pg 642; 8th/pg 654)Direct globulin test is positive in Paroxysmal cold hemoglobinuria, as anti P antibody is formed.